A patient of depression who is on lithium therapy is diagnosed to have hypertension. Which of the following antihypertensive agent should be avoided in order to reduce the risk of lithium toxicity?
1. Methyldopa
2. Beta blockers
3. Calcium channel blockers
4. Diuretics

Correct answer: 4. Diuretics

Explanation: Lithium generally should not be given with diuretics because they reduce its renal clearance and add a high risk of lithium toxicity.